Which of the following structure is seen in the centre of cavernous sinus?
1. 1st part of V nerve
2. ICA
3. 4th nerve
4. 2nd part of V nerve

Correct answer: 2. ICA